Most common site of extra-pelvic endometriosis is:-
1. Intestinal tract
2. Bladder
3. Ureter
4. Lungs

Correct answer: 1. Intestinal tract

Explanation: Most common site of endometriosis is the Ovary, followed closesly by the POD deposits. surfaces of the peritoneum. These lesions are black, dark brown, or bluish nodules or small cysts containing old hemorrhage surrounded by a variable degree of fibrosis Histologic confirmation of the laparoscopic impression is essential for the diagnosis of endometriosis. The most common site of extrapelvic endometriotic implants is intestinal tract